Which of the following function is done by RNAi in a gene?
1. Knock in
2. Knockout
3. Knockdown
4. Knock up

Correct answer: 3. Knockdown

Explanation: Ans. (c) Knock down(Ref: Robbins 9th/pg 3-4)Small interfering RNAs (siRNAs)*Short RNA sequences introduced experimentally into cells*Their action is similar to endogenous miRNAs.*Synthetic siRNAs targeted against specific mRNA have become useful laboratory tools to study gene function (so-called "knockdown technology")